Cock's peculiar tumour is:
1. Papilloma
2. Infected sebaceous cyst
3. Cylindroma
4. Squamous cell carcinoma

Correct answer: 2. Infected sebaceous cyst

Explanation: Ans: b (Infected sebaceous cyst)Ref: Bailey & Love, 23rd ed,p. 173, Fig (13.15) & S. Das Surgery, 3rded, p. 81